Ions participating in clotting mechanism are:
1. Iron
2. Copper
3. Calcium
4. Aluminium

Correct answer: 3. Calcium